Ram Devi presented with generalized edema sweating and ushing
tachycardia and fever after bee sting. This is
1. T cell mediated cytotoxicity
2. IgE mediated reaction
3. IgG mediated reaction
4. IgA mediated hypersensitivity reaction

Correct answer: 2. IgE mediated reaction

Explanation: The symptoms of the patient are d/t hypersensitivity type I reaction Type I is mediated by IgE and it airs up within minutes.
The symptoms range from rashes to anaphylactic shock with vasodilatory hypotension and bronchiolar spasm.
Examples of type I 
Eczema* Hay fever* Asthma* Anaphylactic shock* Urticaria* A cute dermatitis
* Theobald Smith reaction *
Other hypersensitivity reactions Type II is characterized by an antigen antibody reaction on the surface of a host cell*.
Mediated by IgG or IgM. Examples

Blood transfusion reactions *
Transplant rejection *
Auto immune hemolytic anaemia*
Auto immune thrombocytopenic purpura *
Diabetes disease*
Good pasture’s syndrome *
Grave's disease*
Myasthenia gravis*
Pemphigus
Pernicious anaemia

1. Rheumatic fever* Type HI reactions Mediated by antigen / antibody complex*.
Examples

PAN*
Post streptococcal glomerulonephritis*
Rheumatoid arthritis*
Systemic lupus erythematosis*
Acute viral hepatitis*
Penicillamine toxicity*
Serum sickness*
Arthus reaction*